Which one of the following is NOT a component of the filtration slit diaphragm at the glomerulus?
1. Nephrin
2. Podocin
3. alpha-actinin 4
4. Batin

Correct answer: 4. Batin

Explanation: The filtration barrier in the glomerulus is composed of the endothelial cells of glomerular capillaries, basement membrane that covers the endothelial cells, and foot processes of the epithelial cells surrounding the basement membrane Podocytes are separated by apparent gaps called filtration slits. Each filtration slit is bridged by a thin diaphragm. The filtration slit diaphragm is composed of several proteins, such as nephrin, podocin, a-actinin. Batin gene (also known as BSND) codes for the protein batin; this protein recruits the Cl- channel CLCNKB to the basolateral membrane in the TAL of loop of Henle.